Allen's test is useful in evaluating
1. Thoracic outlet syndrome
2. Presence of cervical rib
3. Digital blood flow
4. Integrity of palmar arch

Correct answer: 4. Integrity of palmar arch

Explanation: The Allen test can detect the patency of both radial and ulnar arteries (arteries forming the palmar arch) Method The pt. squeezes his hand to express the blood and then both arteries are compressed by the examiner's fingers - the hand turns white Now pressure on one artery is removed and the change in color of hand noted : if the artery is blocked the colour remains white if it is patent, the palm assumes the normal colour Now the test is repeated and the pressure removed from the other artery, to check its integrity.